What does Casper Dictum indicate?
1. Identification of dead body
2. Calculation of time since death
3. Detection of child abuse
4. Rate of putrefaction

Correct answer: 4. Rate of putrefaction

Explanation: Casper dictum is useful for a rough assessment of the rate of decomposition of the dead body. It is 8 times slower under soil, and 2 times slower under water compared to air. Conditions that accelerate decomposition are: Septicemia Rhabdomyolysis Cocaine overdose Edematous area Conditions that retards decomposition are: Dehydration Massive blood loss Cold environment Embalming Ref: Principles of Forensic Medicine and Toxicology By Rajesh Bardale, page 158.